3rd and 4th lumbrical (lateral two lumbricals) of foot are supplied by ?
1. Medial plantar nerve
2. Lateral plantar nerve
3. Peroneal nerve
4. None of the above

Correct answer: 2. Lateral plantar nerve

Explanation: Behind the medial malleolus, beneath the flexor retinaculum the tibial nerve divides into its two terminal branches :i) Medial plantar nerve :- It corresponds approximately to the median nerve in the hand as far as skin and muscle supplies are concerned. It supplies medial part of sole, plantar surface of medial 3rd A digits, and innervates flexor digitorum brevis, abductor hallucis, flexor hallucis brevis and the first lumbrical.ii) Lateral plantar nerve :- It correspods approximately to the ulnar nerve. It supplies the lateral part of sole, plantar surface of lateral digits and innervates flexor digitorum accesorius, abductor digiti minimi, flexor digiti minimi brevis, adductor hallucis, all intcrossei and 2nd,3rd,4th lumbricals.